Uses of PUVA – a) Pigmented purpuric lesionb) Herpes zosterc) Mycosis fungoidesd) Lupus panniculitise) Lichenoid dermatitis of Gougerot & Blum
1. acd
2. bde
3. cde
4. ace

Correct answer: 4. ace

Explanation: Indications for PUVA and UVB

Established major indications :- Psoriasis, atopic dermatitis, vitiligo, mycosis fungoides, Polymorphic light eruption, pompholyx.
Less frequently treated (less evidence of effectiveness) :- Pityriasis rosea, morphea, chronic urticaria, Pityriasis lichenoid chronica, Alopecia totalis & Universalis, Lichen plaints, Pityriasis rubra pilaris, Granuloma annulare, Generalized pruritis, Nacrobiosis lipoidics.

"Pignzented pruritic lichenoid dermatosis of Gougerot & Blum can be treated by PUVA".